Burst abdomen after laprotomy takes place after
1. 1-2 days
2. 7-10 days
3. Usually after 3 weeks
4. After one month

Correct answer: 2. 7-10 days

Explanation: .BURST ABDOMEN (Abdominal Dehiscence) * It is disruption of a laparotomy wound, occurring usually between 5th and 8th postoperative day. * Usually sutures opposing the deep layers, i.e. peritoneum and rectus sheath tear through, causing burst abdomen.Treatment * Nasogastric aspiration. * IV fluids. * Emergency surgery, i.e. Under anaesthesia, wound is opened up properly. Coils of intestines are replaced into the abdominal cavity. Thorough wash is given. Wound is closed by all layer sutures, passing a non-absorbable suture material through the red rubber or plastic collar -- tension sutures. (which is kept for 14 days).* Antibiotics and IV fluids are continued. * Wound usually heals well without much second dehiscence. Late problem, may be development of incisional hernia ref:SRB's manual of surgery,ed 3,pg no 672.